EEG rhythm recorded from the surface of the scalp during REM sleepa) Alphab) Betac) Deltad) Theta
1. ab
2. a
3. ad
4. bc

Correct answer: 1. ab

Explanation: Stages of sleep and rhythm
-        Beta rhythm- Alert, awake, maximum concentration.
-        Alpha rhythm- Eyes closed, mind wandering, less attentiveness
-        Theta rhythm- Stage 1 NREM
-        Sleep spindles, K complex- Stage 2 NREM
-        Delta rhythm- Deep sleep (Stage 3 & 4 NREM)
 
-        Beta Rhythm and occasional reappearance of alpha rhythm- REM